Treatable causes of dementia are :
1. Alzheimer's ds.
2. Hypothyroidism
3. Multi-infarct dementia
4. All

Correct answer: 2. Hypothyroidism

Explanation: B i.e. Hypothyroidism